Most malignant type of carcinoma breast is?
1. Paget's disease
2. Anaplastic carcinoma
3. Scirrhous's carcinoma
4. Mastitis carcinomatosa

Correct answer: 4. Mastitis carcinomatosa

Explanation: Ans. is 'd' Mastitis carcinomatosa Favourable histologic types Less favourable histologic types Least favourable histologic type * Tubular Ca * Medullary cancer * Inflammatory Ca (Mastitis * Colloid or mutinous * Invasive lobular cancer Carcinomatosa) * Papillary Ca * Invasive ductal cancer - prognosis is very bad, next to inflammatory Ca